Treatment of choice for perforation in pars flaccida of the tympanic membrane with cholesteatoma is:
1. Myringoplasty
2. Modified radical mastoidectomy
3. Antibiotics
4. Radical mastoidectomy

Correct answer: 2. Modified radical mastoidectomy

Explanation: (b) Modified radical mastoidectomy(Ref. Cummings, 6th ed., 2145)Since reconstruction of hearing is not done in radical mastoidectomy, so MRM is preferred over radical mastoidectomy in the treatment of unsafe CSOM to give the patient a hearing ear besides making the ear safe and dry